Antenatal diagnosis of hydrocephalus is done by:
1. USG
2. AFP estimation
3. Foetoscopy
4. Aminocentesis

Correct answer: 1. USG

Explanation: Ans. USG